Which of the following is a polyunsaturated fatty acid?
1. Palmitic acid
2. Stearic acid
3. Oleic acid
4. Linoleic acid

Correct answer: 4. Linoleic acid

Explanation: Three polyunsaturated fatty acids, linoleic acid, linolenic acid and arachidonic acid are called "essential fatty acids" (EFA). They cannot be synthesised in the body and must be provided in the diet. Lack of EFA in the diet can produce growth retardation and other deficiency manifestation symptoms.Ref: Textbook of Medical Biochemistry, Eighth Edition, Dr (Brig) MN Chatterjea, page no: 48